Man is a definitive host of which parasite -a) Malariab) Filariac) Measlesd) Tapeworm
1. c
2. d
3. bd
4. ac

Correct answer: 3. bd